All of the following signs may be appreciated in a patient with early papilloedema except
1. Mild hyperaemia of the disc
2. Obliteration of physiological cup of the optic disc
3. Obscuration of superior, inferior and nasal disc margins
4. Absence of spontaneous venous pulsation

Correct answer: 2. Obliteration of physiological cup of the optic disc

Explanation: PAPILLOEDEMA Clinical features: Early (incipient) papilloedema : Symptoms are usually absent and visual acvity is normal. Pupillary reactions are normal. Ophthalmoscopic features of early papilloedema are: (i) Obscuration of the disc margins (nasal margins are involved first followed by the superior, inferior and temporal). (ii) Blurring of peripapillary nerve fibre layer. (iii) Absence of spontaneous venous pulsation at the disc (appreciated in 80% of the normal individuals). (iv) Mild hyperaemia of the disc. (v) Splinter haemorrhages in the peripapillary region may be present. Visual fields are fairly normal. Ref:- A K KHURANA; pg num:-299